Acute pancreatitis is a known complication of which of the following investigations?
1. ERCP
2. MRCP
3. CECT abdomen
4. Percutaneous transhepatic Cholangiography

Correct answer: 1. ERCP